The normal P wave is biphasic in lead:
1. VI
2. LII
3. aVF
4. aVR

Correct answer: 1. VI

Explanation: Answer. A (VI): Normal P wave may be seen as a Biphasic wave in lead V1. 'The normal P wave in lead V1 may be biphasic with a positive component reflecting right atrial depolarization followed by a small (<1 mm') negative component reflecting left atrial depolarization' - Harrison Note: The normal P wave is negative (inverted) in lead aVR.